Which of the following feature of a thyroid nodule on ultrasonogram is not suggestive of malignancy?
1. Hyperechogenisity
2. Hypoechogenisity
3. Nonhomogenous
4. Microcalcification

Correct answer: 1. Hyperechogenisity

Explanation: The hyperechoic structure on ultrasonography suggests a benign lesion. Malignancies always have a hypoechoic or nonhomogeneous hypoechoic structure.
USG features of malignancy in a thyroid nodule

Hypoechoic / nonhomogeneous / solid                
Microcalcification                                                  
Variable peripheral rim
Internal vascularity
Lymph node involvement